Apical collar signifies:
1. Retentive form
2. Resistance form
3. Both 1 & 2
4. None

Correct answer: 1. Retentive form

Explanation: ΑPICΑL COLLAR = Retentive form (usually nearly 2 mm of parallel walls at apical region) 
Keyword is TUG BACK.